Ramsted's operation is for:
1. Duodenal atresia
2. Volvulus of small intestine
3. Anorectal malformation
4. Congenital pyloric stenosis

Correct answer: 4. Congenital pyloric stenosis

Explanation: Ans: d (Congenital pyloric stenosis)Ref: Bailey & Love, 24th ed, p. 1033 & 23rd ed, p. 900